Amussat sign is seen in
1. Hanging
2. Drowning
3. Garrotting
4. Choking

Correct answer: 1. Hanging

Explanation: Amussat's sign is typically a transverse laceration of the intimate layer of carotid arteries described in cases of hanging. Subtotal laceration of carotid artery is not strictly specific for hanging and can be also caused by blunt neck trauma, extreme over stretching, or whiplash injuries Ref: NCBI